When the scale is given as good, satisfactory and poor the method used is called?
1. Ordinal
2. Nominal
3. Interval
4. Ratio

Correct answer: 1. Ordinal

Explanation: All measurement in science was conducted using four different types of scales that he called nominal, ordinal, interval and ratio. Ordinal measurements describe order, but not relative size or degree of difference between the items measured. Quantitative attributes are all measurable on interval scales. Most measurement in the physical sciences and engineering is done on ratio scales.